The hypoglossal nerve is the motor nerve to all of the muscles of the tongue except, the:
1. Genioglossus
2. Palatoglossus
3. Superior longitudinal muscle
4. Inferior longitudinal muscle

Correct answer: 2. Palatoglossus